Commonest symptom associated with thoracic outlet syndrome is:-
1. Intermittent claudication
2. Pain in radial distribution
3. Pain in ulnar distribution
4. Gangrene

Correct answer: 3. Pain in ulnar distribution

Explanation: Clinical Features In > 90% of cases, neurogenic manifestations are reported. Ulnar nerve (C8-T1) involvement is most common Motor weakness and atrophy of the hypothenar and interosseous muscles Pain and paresthesia along the medial aspect of the arm, hand, 5th finger and medial aspect of 4th finger.